Ring of Sommerring is seen in
1. Galactosemia
2. Dislocation of lens
3. Acute congestive glaucoma
4. After cataract

Correct answer: 4. After cataract

Explanation: D i.e. After cataract